Complication of total paranternal nutrition is
1. CHF
2. Hypochloremia
3. Metabolic acidosis
4. Leukopenia

Correct answer: 3. Metabolic acidosis

Explanation: .Complications OF TPN includes Technical - 1. Air embolism. 2. Pneumothorax. 3. Bleeding. 4. Catheter displacement, sepsis, blockage. 5. Infection, thrombosis. Biochemical- 1. Electrolyte imbalance: Hyponatraemia, hypokalaemia, hypophosphataemia. 2. Hyperosmolarity. 3. Hyperglycaemia. - common. 4. Dehydration. 5. Altered immunological and reticuloendothelial function. 6. Azotaemia. Others- 1. Dermatitis. 2. Anaemia and increased capillary permeability. 3. Cholestatic jaundice: It is common. 4. Severe hepatic steatosis. 5. Metabolic acidosis. 6. Candida infection (candidiasis), staphylococcal infection. (10-15%). ref:SRB's manual of surgery,ed 3,pg no 89